Retinoblastoma is associated with-
1. Osteosarcoma
2. Hepatocellular
3. SCC
4. Osteoclastoma

Correct answer: 1. Osteosarcoma

Explanation: Robbins basic pathology 9th edition page no 777 Pathogenesis Several mutations are associated with the devolopmeny of osteosarcoma. The patients with hereditory retinoblastomas have a thousand fold greater risk for devolopment of osteosarcoma.